Hormones with increased production during the day and less in nights is/are:
1. ACTH.
2. Cortisol
3. Insulin
4. All of the above.

Correct answer: 4. All of the above.